Which is the nerve sheath tumor according to WHO?
1. Schwannoma
2. Paraganglioma
3. Medulloblastoma
4. Astrocytoma

Correct answer: 1. Schwannoma

Explanation: Ans. is 'a' i.e., Schwanomma * Schwannomas are benign tumors of the nerve sheath.* Schwannomas can arise from any peripheral nerve containing Schwann cells, including cranial nerves.* Although schwannomas can arise from any nerve in the body, the most common locations include the head, arms, legs and trunk.* The eighth cranial nerve is the most susceptible to schwannomas. Bilateral schwannomas of the eighth cranial nerve indicate the presence of type 2 neurofibromatosis.* Other benign nerve sheath tumors are neurofibromas and hemangiopericytoma.